Enzyme responsible for conversion of androgen into estrogen -
1. Aromatase
2. Sulphatase
3. Fumarase
4. 3 beta hydroxy steroid dehydrogenase

Correct answer: 1. Aromatase

Explanation: Ans. is 'a' i.e., Aromatase o Estradiol is the major estrogen secreted by the ovary.o It is synthesized in the graffian follicle, corpus luteum and placenta from cholesterol.o Estradiol is rapidly oxidized in liver to estrone which is hydroxylated to form estriol.